Miliary mottling in lung seen in -
1. Histiocytosis X
2. Metastasis
3. Mitral stenosis
4. All of the above

Correct answer: 4. All of the above

Explanation: Ans. is 'd' i.e.. All of the above Causes of Miliary mottlingInfection Bacterial (TB, Brucellosis. Bronchopneumonia, Melioidosis), viral (varicella / chicken pox), Fungal (Histoplasmosis, Coccidiodomycosis, blastomycosis, cryptococcosis).Cardiac Mitral stenosis. Pulmonary edema, multiple pulmonary infarct.Pneumoconiosis Coal worker pneumoconiosis, silicosis.Neoplastic Lymphangitis carcinomatosis, alveolar cell Ca., lymphoma, leukemia, metastasis.Allergic Loeffler's syndrome, tropical eosinophilia.Others IPF, RA, Sarcoidosis, Histocytosis-X, HMD, Haemosiderosis.